Pulsus paradoxus is characteristic feature of
1. Constrictive pericarditis
2. Cardiac tamponade
3. Hypertrophic obstructive cardiomyopathy
4. Restrictive cardiomyopathy

Correct answer: 2. Cardiac tamponade

Explanation: Ref Harrison 19 th ed pg 1574 Paradoxical Pulse This important clue to the presence of cardiac tamponade consists of a greater than normal (10 mmHg) inspiratory decline in systolic arterial pressure. When severe, it may be detected by palpating weakness or disappearance of the arterial pulse during inspiration, but usually sphygmomanometric measurement of systolic pressure during slow respiration is required.